Ureters are identified during surgery by -
1. Peristalsis d/t flow of urine
2. Rich arterial plexus
3. Relation to renal vein & artery
4. Relation to lumbar plexus

Correct answer: 1. Peristalsis d/t flow of urine

Explanation: Ureters are muscular ducts situated retroperitoneally and are identified by peristalsis.